Rubella cataract is seen as-
1. Posterior polar cataract
2. Nuclear cataract
3. Blue dot cataract in young
4. Cuneiform cataract

Correct answer: 2. Nuclear cataract

Explanation: Ans. (b) Nuclear cataractRef: Parson's 21/e, p. 266Congenital rubella infection can cause congenital nuclear cataract and congenital total cataract.Sometimes it may also cause lamellar (zonular) cataract (Occurs in fetal nucleus. Thus a type of congenital nuclear cataract)